Which of the following is an usual presentation of papillary carcinoma thyroid?
1. Diffuse nodular swelling
2. Only lymphadenopathy
3. Hormonal disturbance
4. Single nodule + local lymph node enlargement

Correct answer: 4. Single nodule + local lymph node enlargement

Explanation: "Most patients with papillary carcinoma thyroid are euthyroid and present with a slow growing painless mass in the neck". Dysphagia, dyspnea and dysphonia are commonly associated with locally advanced disease. Lymph node metastases are common especially in children and young adults, and may be the presenting complaint. The so called 'lateral aberrant thyroid' almost always denotes a cervical lymph node that has been invaded by metastatic cancer. Diagnosis is established by FNAC of the thyroid mass or lymph node". Ref: Schwartz 9/e, Page 136 ; Bailey & Love 25/e, Page 793